Increased Reid index is classically associated with?
1. Chronic Bronchitis
2. Emphysema
3. Bronchiectasis
4. Interstitial lung disease

Correct answer: 1. Chronic Bronchitis

Explanation: The diagnostic feature of chronic bronchitis in the trachea and larger bronchi is enlargement of the mucus secretinggland . The magnitude of the increase insize is assessed by the ratio of the thickness of the submucosal gland layer to that of the bronchial wall (the Reid index--normally 0.4). Chronic smoking causes submucosal gland hypertrophy and hyperplasia, leading to a Reid Index of >0.5 indicating chronic bronchitis.